Direct coombs test is positive in hemolytic anaemia due to -
1. Paroxysmal cold hemoglobinuria
2. Paroxysmal nocturnal hemoglobinuria
3. Hereditary spherocytosis
4. Idiopathic thrombocytopenic prpura

Correct answer: 1. Paroxysmal cold hemoglobinuria